In normal distribution which have same value
1. SD and mean
2. SD and mode
3. Mode and mean
4. SD and median

Correct answer: 3. Mode and mean

Explanation: Ref:Park's Textbook of Preventive and Social Medicine 25th Ed